All of the following are true about delirium except :
1. It is the most common organic brain disorder
2. Generalized slowing of waves are seen in EEG
3. Auditory hallucinations are more commonly present
4. Sundowning phenomenon is seen

Correct answer: 3. Auditory hallucinations are more commonly present

Explanation: Visual hallucinations are the common perceptual disturbance seen in Delirium.